A child has no criminal responsibility if the age is less than
1. 5 years
2. 7 years
3. 12 years
4. 18 years

Correct answer: 2. 7 years

Explanation: Ans. is 'b' i.e., 7 years